According to Mount and Hume classification, an enlarged carious lesion in contact area region will be denoted as:
1. 1.3
2. 2.3
3. 3.2
4. 2.2

Correct answer: 2. 2.3

Explanation: MOUNT AND HUME CLASSIFICATION